Autoinfection is NOT seen in:
1. H. nana
2. H. diminuta
3. Strongyloidosis
4. Taenia solium

Correct answer: 2. H. diminuta

Explanation: Autoinfection is seen in- C- Cryptosporidium parvum H- H. nana E- Enterobius vermicularis S- Strongyloides stercoralis T- Taenia solium Reference- Paniker Textbook of Parasitology 8th Ed pg no 148 Q209 Smallest helminth..... Sol- - H-nana (Dwarf tapeworm) - smallest tapeworm with an adult length of 15-44mm - H. diminuta (Rat tapeworm) - cestode of mainly rodents with an adult length of 20-60cm -Balantidium coli is the only pathogenic ciliate -D. latum is 30 feet.